A 23 year old presented with fever with chills and back pain. He also complained about increased frequency of voiding. USG examination reveals that bladder stones. All of the following are true about bladder stones, EXCEPT:
1. Rare in Indian children
2. Most bladder calculi are seen in men
3. Small stones can be removed per urethra
4. Solitary bladder stone is the rule

Correct answer: 1. Rare in Indian children

Explanation: Primary vesical calculi are rare in the United States but are common in Southeast Asia and the Middle East. Most bladder calculi are seen in men. In developing countries, they are frequently found in prepubescent boys. Stone analysis frequently reveals ammonium urate, uric acid, or calcium oxalate stones. A solitary bladder stone is the rule, but there are numerous stones in 25% of patients. Patients present with irritative voiding symptoms, intermittent urinary stream, urinary tract infections, hematuria, or pelvic pain. Small stones can be removed or crushed transurethrally (cystolithalopaxy). Ref: Cooper C.S., Joudi F.N., Williams R.D. (2010). Chapter 38. Urology. In G.M. Dohey (Ed), CURRENT Diagnosis & Treatment: Surgery, 13e.